Which of the following is true regarding cardiac MRI
1. Infarcted myocardium is hypointense on T2-MRI
2. Viable myocardium can be differentiated from infarcted myocardium
3. Prosthetic heart valves are an absolute contraindication for MRI
4. It is better than CT for non-invasive assessment of coronary arteries

Correct answer: 2. Viable myocardium can be differentiated from infarcted myocardium

Explanation: Ans. is 'b' i.e., Viable myocardium can be differentiated from infarcted myocardium.Infarcted myocardium appears hypointense on T1-MRI and hyperintense on T2-MRIViable myocardium can be easily differentiated from infarcted tissue.Prosthetic heart valves are a relative contraindications for MRI.Multislice CT is a better modality than cardiac MRI for the non invasive assessment of coronary arteries.